Nonoxynol - 9 (marketed as TODAY) is a/an :
1. Hormonal contraceptive
2. IUCD
3. Barrier contraceptive
4. Postcoital contraceptive

Correct answer: 3. Barrier contraceptive

Explanation: Ans. is c i.e. Barrier contraceptive TODAY : It is mushroom shaped polyurethane disposable sponge. It is contains lgm of NONOXYNOL - 9 and is provided with a loop for easy removal. It is a barrier contraceptive which prevents entry of sperm into the cervical canal and contains a spermicidal agent. It should be placed high up in the vagina with concave side covering the cervix. It remains effective for 24 hours regardless of the frequency of coitus. It is to be used only once. It should be left in vagina and removed 6 hrs after sexual intercourse. Failure rate = 9-30 / HWY Side effects : Allergic reactions Vaginal dryness, soreness or itching It can lead to genital leisons which may damage the vaginal mucosa and enhance HIV transmission. Note : Different books have a different say on role of today in preventing STD's and toxic shock syndrome. But Leon Speroff is the most authentic book for this issue. It says - - There is no risk of toxic shock syndrome, intact non oxynol 9 retards staphylococcal replication and toxin production. - It decreases the risk of infection with gonorrhea trichomonas and chlamydia.